Aspartate is similar to glutamate in the same way that:
1. Valine is similar to threonine
2. Asparagine is similar to glutamine
3. Phenylalanine is similar to tryptophan
4. Phenylalanine is similar to histidine

Correct answer: 2. Asparagine is similar to glutamine

Explanation: Aspartate is similar to glutamate in the same way that Asparagine is similar to glutamine (polar amino acids) Glycine is similar to valine in the same way that alanine is similar to leucine (aliphatic amino acids) Alanine is similar to serine in the same way that phenylalanine is similar to tyrosine (structure)